All of the following are causes of congenital blindness Except
1. Toxoplasmosis
2. Congenital rubella
3. Vitamin A deficiency
4. Cataract

Correct answer: 3. Vitamin A deficiency

Explanation: Causes of congenital blindness:ToxoplasmosisCongenital cataractsGenetic diseaseCongenital rubellaCongenital glaucomaUsher syndrome(Refer: Nelson's Textbook of Pediatrics, SAE, 1st edition, pg no. 318 - 319)